A Pre pharyngeal abscess diagnosed as tuberculosis is seen in 44 year old lady with difficulties in deglutition management would be -
1. Urgent Drainage
2. Starting of AKT
3. Wait and Eatch
4. Get an MRI of the cervical Spine

Correct answer: 1. Urgent Drainage

Explanation: Ans. is 'a' i.e., Urgent Drainage Absolute indications of surgery in vertebral tuberculosiso Development of new neurodeficit or its worsening on AKTo Reappearance of previous neurodeficit on AKTo No improvement in neurodeficit for 4-6 weekso Difficulty in deglutition due to a prepharyngeal abscess